The most common cardiac involvement in rheumatoid arthritis -
1. Pancarditis
2. Pericarditis
3. Myocarditis
4. Endocarditis

Correct answer: 2. Pericarditis